Which of the following is an example of hyaline cartilage?
1. Epiglottis
2. Thyroid cartilage
3. Apex of Arytenoid Cartilage
4. Pinna

Correct answer: 2. Thyroid cartilage

Explanation: Thyroid cartilage is a type of hyaline cartilage. Hyaline cartilage is the most common type of cartilage, in adults this is replaced by bone by a process called enchondral ossification. In the articular surface of bone, costal cartilage, nose, larynx, trachea and bronchi hyaline cartilage persist throughout life and does not calcify.Elastic cartilage: is highly flexible and is found in the external ear, walls of auditory tube, epiglottis and larynx.Fibrocartilage is present in the intervertebral disc, pubis symphysis and certain joints.